Predominantly osteoblastic metastasis is seen in ?
1. Renal cell carcinoma
2. Prostate carcinoma
3. Breast carcinoma
4. Thyroid carcinoma

Correct answer: 2. Prostate carcinoma

Explanation: Bone Metastasis Purely osteolytic Mostly osteolytic Mostly osteoblastic Purely osteoblastic Kidney (expansile) Thyroid Lung GI tumors Breast Seminoma Carcinoid Neurogenic tumors Uterus and ovary Urinary Bladder Prostate